Treponema pallidum causes –
1. Condyloma acuminata
2. Condyloma lata
3. Both
4. None

Correct answer: 2. Condyloma lata

Explanation: Condyloma lata is seen in secondary syphilis (caused by T. pallidum).